An enzyme that makes a double stranded DNA copy from a single stranded RNA template molecule is known as:
1. DNA polymerase
2. RNA polymerase
3. Reverse transcriptase
4. Phospho kinase

Correct answer: 3. Reverse transcriptase